Vector for Kala-azar -
1. Flea
2. Tsetse fly
3. Sand fly
4. Tick

Correct answer: 3. Sand fly

Explanation: Sandflies of genera Phlebotomus act as intermediate host for Leishmaniasis (Kala-azar).
Human and other vertebrates act as definitive host.